Regarding IMNCI, when should refer the clild to higher centre?
1. Pneumonia
2. Severe pneumonia
3. Persistent diarrhea
4. All of above

Correct answer: 2. Severe pneumonia

Explanation: Ans. is 'b' i.e., Severe pneumonia Refer urgently to hospital afte giving instruction in following cases :? Possible serious bacterial infection Severe jaundice Diarrhoea with severe dehydration Severe persistent diarrhoea (not PERSISTENT DIARRHOEA) Severe dysentry Not able to feed or severe malnutritions Severe pnumonia or very severe disease Severe complicated measls Mastoiditis Severe malnutrition Severe anemia